World bank gives loans for:
1. For economic growth
2. Cobalt therapy of radiotherapy department
3. Purchase of microscope for tuberculosis investigation
4. To change of the social justice

Correct answer: 1. For economic growth

Explanation: (For economic growth) (821- Park 20th)WORLD-BANK - a specialized agency of the united nations. The powers of the bank are vested in a Board of Governors. The bank gives loans for projects that will lead to economic growth (e.g. India's population Projects)* The projects are usually concerned with electric power, roads railways, agriculture, water supply, education, family planning etc. Health and environmental components have been added to many projects